Normal epidermal turnover time is?
1. 1 week
2. 2 weeks
3. 3 weeks
4. 4 weeks

Correct answer: 4. 4 weeks

Explanation: Ans. is 'd' i.e., 4 weeks Epidermal turn over time* Epidermis renews itself continuously by cell division in the deepest layer, the basal layer. It is the continuously multiplying layer. The basal cells show mitosis and each basal cell multiplies and produces keratinocytes which moves up, the so called epidermal proliferation unit (Basal cell plus keratinocytes produce by it).* Time taken by keratinocytes to move from basal layer to the stratum corneum and then desquamate so that it can be replaced by new crop is known as epidermal turn over time. In normal skin it is about 4 weeks. It can be as low as 6-8 days in psoriasis.